Gastric motility decreases in A/E-
1. Diabetes
2. Upper abdominal surgery
3. Head injury
4. Hyperthyroid

Correct answer: 4. Hyperthyroid

Explanation: Small intestinal motility is disordered in conditions that affect the smooth muscle or nerves of the intestine. Many cases are 'primary' (idiopathic), while others are 'secondary' to a variety of disorders or drugs. Clinical features There are recurrent episodes of nausea, vomiting, abdominal discomfort and distension, often worse after food. Alternating constipation and diarrhoea occur and weight loss results from malabsorption (due to bacterial overgrowth) and fear of eating. There may also be symptoms of dysmotility affecting other parts of the gastrointestinal tract, such as dysphagia, and features of bladder dysfunction in primary cases. Some patients develop severe abdominal pain for reasons that are poorly understood and this can be difficult to manage .Gastric motility is decreased in hypehyroidsm . Ref Davidson edition23rd pg 810